Chikungunya is transmitted by -
1. Aedes
2. Culex
3. Mansonia
4. Anopheles

Correct answer: 1. Aedes

Explanation: Vector Diseases transmitted Culex Bancroftian filariasis JE West Nile Fever Anopheles Malaria Filaria (outside India) Aedes Yellow fever Dengue Chikungunya Rift Valley Fever Mansonia Brugian filariasis and Chikungunya REF: PARK'S TEXTBOOK OF PREVENTIVE AND SOCIAL MEDICINE, 25TH EDITION, PG NO. 832